Which of the following does not cause biliary tract obstruction ?
1. Ascaris lumbricoides
2. Ankylostoma duodenale
3. Clonorchis sinensis
4. Fasciola hepatia

Correct answer: 2. Ankylostoma duodenale

Explanation: Pathogenesis and clinical features of ankylostoma duodanale Infective agent: filariform larvae Portal of entry: skin The worm causes hookworm disease in man characterized mainly by anaemia. (refer pgno:144 baveja 3 rd edition)